Discoloration of tooth in tetracycline therapy is because of formation of:
1. Calcium orthophosphate
2. Dicalcium phosphate dihydrate
3. Calcium oxide
4. Tetracalcium phosphate

Correct answer: 1. Calcium orthophosphate

Explanation: Tetracycline and minocycline: Unsightly discoloration of both dentitions results from excessive intake of tetracycline and minocycline during the development of teeth. Chelation of tetracycline molecule with calcium in hydroxyapatite crystals forms tetracycline orthophosphate which is responsible for discolored teeth.